In hemochromatosis iron not deposited in ?
1. Heart
2. Pituitary
3. Testis
4. Skin

Correct answer: 3. Testis

Explanation: Ans. is 'c' i.e., Testis In hemochromatosis, hypogonadism is caused by impairment of hypothalamic pituitary function and not due to deposition of Iron in the Testis. Hemochromatosis Hemochromatosis is characterized by the excessive accumulation of body iron, most of which is deposited in parenchymal organs such as liver and pancreas. The total body content of the iron is tightly regulated, as the daily losses are matched by gastrointestinal absorption. In hereditary hemochromatosis, regulation of intestinal absorption of dietary iron is lost, leading to net iron accumulation of 0.5 to 1.0 gm/year. It may be recalled that the total body iron pool ranges from 2-6 gm in normal adults; about 0.5 gm is stored in the liver 98% of which is hepatocytes. In hemochromatosis the iron accumulation may exceed 50 gm, over one third of which accumulates in the liver. The iron accumulation is life long, the rate of net iron accumulation is 0.5 to 1.0 gm/year. The disease manifests itself typically after 20 gm of storage iron have accumulated. The disease first mainfests itself in the fifth to sixth decades of life. Excessive iron is directly toxic to host tissues The clinical features of hemochromatosis are characterized principally by deposition of excess iron in the following organs in decreasing order of severity.